About Corpus luteum of pregnancy, all are true EXCEPT:-
1. Stimulated by chorionic gonadotropin hormone
2. Persist till fourth month
3. Secretes progesterone
4. Main hormone secreted is estrogen

Correct answer: 4. Main hormone secreted is estrogen

Explanation: After ovulation ,wall of follicle collapses and is converted to corpus luteum. The formation of corpus luteum is stimulated by the secretion of LH from anterior pituitary. Lutien cells secrete mainly the progesterone and small amount of oestrogen. In the absence of pregnancy, corpus luteum is called corpus luteum of menstruation and it persist for 12-14 days after ovulation If ovum is fertilized and embedded in the endometrium of uterus, the trophoblast secrete chorionic gonadotropin hormone which stimulate the corpus luteum to grow and prolong its activity It is known as corpus luteum of pregnancy which continues to secrete progesterone upto the end of fourth month of pregnancy.